Color of tuberous sclerosis lesions on wood lamp examination ?
1. Bright green
2. Milky white
3. Golden yellow
4. Blue white

Correct answer: 4. Blue white

Explanation: Ans. is 'd' i.e., Blue white Wood lamp This is a source of ultraviolet light (320-400nm) from which virtually all visible rays have been excluded by a Wood's (nickel oxide) filter. Primarily emits 360nm. UV light, when absorbed by certain substances, fluorescences in dark and color produced, is useful in diagnosis of the certain conditions Condition Fluorescence colour Tinea capitis Bright yellow green Erythrasma Coral red or pink Vitiligo Milky white Albinism Blue white Leprosy Blue white Tuberous sclerosis Blue white Pseudomonas infection Greenish white Porphyria Pink/orange Tinea vesicolor Golden yellow